1772. A patient presents with macroglossla and loss of tongue papilla. His Hb Is 11.5 and MCV Is 100. What shuld be the next step In investigating this patient ?
1. B12 estimation
2. Brush biopsy of the lesion
3. Fluconazole treatment
4. Incision biopsy

Correct answer: 1. B12 estimation

Explanation: Question repeated .